A person sustains head trauma leading to a transaction of pituitary stalk. All can be a consequence of this, except -
1. SIADH
2. Diabetes mellitus
3. Diabetes incipidus
4. Hyperprolactinemia

Correct answer: 2. Diabetes mellitus

Explanation: Pituitary gland does not control the secretion of insulin so it plays no role in diabetes mellitus.